Best management of Vault prolapse
1. Sacral colpopexy
2. Sacrospinous ligament fixation
3. Le forts repair
4. Anterior colporapphy

Correct answer: 1. Sacral colpopexy

Explanation: SACRAL COLPOPEXY Vault suspension Principle:To suspend the vaginal vault to the anterior longitudinal ligament of the 3rd sacral vertebra Non absorbable suture material is used. Most common complication is stress urinary incontinence Ref: D.C.DUTTA'S TEXTBOOK OF GYNAECOLOGY; 6th edition; Pg no:221